A 3 year old child has eczematous dermatitis on extensor surfaces. His mother gives history of bronchial asthma. Diagnosis is
1. Atopic dermatitis
2. Contact dermatitis
3. Seborrhic dermatitis
4. Infantile eczematous dermatitis

Correct answer: 1. Atopic dermatitis

Explanation: Ans: a (Atopic dermatitis)Ref: Rook, Vol. 1, 7th ed. pg. 18.2Criteria for atopic dermatitisMajor criteriaAn itchy skin condition (plus 3 or more of the following)1. Onset below 2 years2. History of skin crease involvement (including cheeks in children under 10 years)3. History of generally dry skin4. History of other atopic diseases5. Visible flexural dermatitis.Atopic dermatitis could be established if 3 of the major and 3 of the 23 minor criteria are present.Contact dermatitis is unlikely in this age group.Seborrhic dermatitis - The seborrheic areas like scalp, nasolabial fold, retroauricular areas are affected.